True about breast cancer in pregnancy:-
1. Occurs in 1 of every 3000 pregnant women
2. MC non-gynecologic malignancy associated with pregnancy
3. Ductal carcinoma is MC type, accounting for 75-90% of breast cancer in pregnancy
4. All of the above

Correct answer: 4. All of the above

Explanation: BREAST CANCER DURING PREGNANCY MC non-gynecologic malignancy associated with pregnancyQ. Ductal carcinoma is MC type, accounting for 75-90%Q of breast cancer in pregnancy. CLINICAL FEATURES Presents as painless palpable massQ with or without nipple discharge DIAGNOSIS USG and needle biopsyQ are used for diagnosis TREATMENT Stage I and II * Mastectomy with axillary dissectionQ * LABC * NEO ADJUVANT CHEMOTHERAPY after 1st trimester + MODIFIED RADICAL MASTECTOMY in 2nd trimester + RADIOTHERAPY after deliveryQ